The histology of Lobular carcinoma of breast reveals-
1. Single file pattern
2. Pleomorphic cells in sheets
3. Clustersl/lslands of cells with mucous lakes
4. Solid syncytium like sheets

Correct answer: 1. Single file pattern

Explanation: Invasive lobular carcinoma consists of cells morphologically identical to the cells of LCIS. Two thirds of the cases are associated with adjacent LCIS. The cells invade individually into stroma and are often aligned in "single-file" strands or chains. This growth pattern correlates with the presence of mutations that abrogate the function of E-cadherin, a surface protein that contributes to the cohesion of normal breast epithelial cells. ref : Robbins Basic Pathology, 9E,page-711 REF of IMG :